Nasopharyngeal fibroma is made up of vascular and fibrous tissues. It is:
1. A nasal polyp
2. Benign lesion
3. Locally malignant benign lesion
4. Highly malignant lesion

Correct answer: 3. Locally malignant benign lesion

Explanation: Nasopharyngeal fibroma (Juvenile nasopharyngeal angiofibroma) is a benign tumor but locally invasive and destroys the adjoining structures. It may extend into, Nasal cavity Paranasal sinuses Pterygomaxillary fossa, infratemporal fossa and cheek Orbits Cranial cavity